All of the following drugs are useful for long-term treatment of congestive heart failure except:
1. Digoxin
2. Ramipril
3. Dobutamine
4. Spironolactone

Correct answer: 3. Dobutamine

Explanation: Dobutamine is indicated only for the acute treatment of decompensated CHF. Cardiac glycosides (digoxin) can be used for acute treatment as well as maintenance therapy of CHF. ACE inhibitors and spironolactone are indicated only for chronic CHF.